The function of 8th cranial N. is related to
1. Smell
2. Taste
3. Touch
4. Balance

Correct answer: 4. Balance

Explanation: Balance The 8th cranial N. or vestibulo cochlear N. has two divisions:Cochlear division -4 concerned with hearingVestibular division concerned with equilibrium & balance